Following is indicative of hypercalcemia on ECG
1. Short QT interval
2. Bundle branch blocks
3. Prolonged PR interval
4. Paroxysmal atrial tachycardia

Correct answer: 1. Short QT interval

Explanation: (A) Short QT interval ECG OF HYPERCALCEMIAECG OF HYPOCALCEMIA* Marked shortening of Q-T interval* Prolongation of Q-T interval* ST segment is eliminated* Lengthening of ST segment# ECG of HYPERCALCAEMIA:> Short QT interval> Serum calcium > 15 mg% occurs in malignancy.> > 200 mg/day of urinary calcium suggest hypercalcaemia.> < 100 mg/day Hypocalcaemia> ECG shows a shortened QT interval, measurements of PTH and PTH-related protein (PTHrP) help distinguish between maligncmcy- associated by hypercalcaemia (elevated PTHrP) and hypoerparathyroidism (elevated PTH).# Q-T Interval: 'Measurement from the beginning of the Q wave to the end of the T wave.> Normal Q-T interval: is from 0,32 to 0.4 sec.> Shortened Q-T interval: Hyperkalemia; Hypercalcemia; Digitalis and Diphenyhydantoin sodium; Tachycardia.> Prolonged Q-T interval: Bradycardia-complete A-V book Hypokalemia, Hypocalcaemia and hypomagnesemia Drugs--Quinidine, procainamide, phenothiazines, tricyclic antidepressants. IHD, Mitral valve prolapse, CNS disease.